Uniocular diplopia seen in which stage of cataract
1. Incipient
2. Intumescent
3. Mature
4. Hypermature

Correct answer: 1. Incipient

Explanation: Stages of maturation of cataract 1- stage of lamellar separation - glare is seen 2- stage of incipient cataract - uniocular diplopia and colored halos are seen in this stage. I. Cuneiform cataract - This cataract starts at periphery and extend centrally so visual changes are noted at late stage - Night blindness (nyctalopia) II. Cupuliform cataract - Posterior capsular - This cataract lies right in the pathway of the axial rays and thus causes early vision loss - Day blindness( hamarlopia) III. Immature senile cataract - In this stage iens may become swollen due to continued hydration. This condition is know as intumescent cataract. - Phacomorphic glaucoma is cause by this type of cataract ; it is type of secondary glaucoma and it is most common type of lens induced glaucoma IV. Mature senile cataract - Lens become pearly white in colour and complete opaque . know as ripe cataract V. Hypermature cataract - Seen in any two of forms I. Morganian cataract - The cortex become liquefied and lens settles at the bottom altering its position with change in the head position - Phacolytic glaucoma associated with morganian cataract II. Sclerotic type - The nucleus become diffusely cloudy or tinted due to deposition of pigments. In practice the commonly observed pigmented nuclear cataracts are either amber, brown(cataracta brunescens) or black (cataracta nigra) and rarely reddish (cataracta rubra) in colour - Most common complication is subluxation of lens